Joint not involved in osteoarthritis
1. PIP
2. DIP
3. MCP
4. Knee

Correct answer: 3. MCP

Explanation: Joint involvement in OACommon joints: Knee, Hip, spine (cervical, lumbosacral), Hand (PIP, DIP, first carpometacarpal), first tarsometatarsalUncommon joint: shoulderSpared: Wrist, elbow, ankle, metacarpophalangeal(Refer: Mohindra's Fundamentals of Orthopedics, 2nd edition, pg no. 88, 101, 127)